Which of the following statements is true regarding the choice between doing a composite or amalgam restoration?
1. Establishing restored proximal contacts is easier with composite.
2. The amalgam is more difficult and techniquesensitive.
3. The composite generally uses a more conservative tooth/cavity preparation.
4. None

Correct answer: 3. The composite generally uses a more conservative tooth/cavity preparation.

Explanation: The restoration of a proximal contact is easier with amalgam than composite. Amalgam is easier to use and is less technique-sensitive. Either material can be used for Class II restorations. Because an amalgam restoration requires a tooth preparation that has

a specified depth (for strength of the amalgam),
cavosurface marginal configurations that result in 90-degree amalgam margins, and
ndercut form to its walls or secondary retention form features, they require more tooth structure removal than do composite tooth preparations.

Composite tooth preparations require

removal of the fault, defect, or old material;
removal of friable tooth structure; and
no specific depths—they are more conservative.